Methemoglobinemia may be caused by following agents, EXCEPT:
1. Sulfonamides
2. Phenytoin
3. Phenacetin
4. Phenazopyridine

Correct answer: 2. Phenytoin

Explanation: Drugs Commonly Implicated in Patients with Methemoglobinemia: Analgesics Phenazopyridine Phenacetin Antimicrobials Antimalarials Dapsone Local anesthetics Benzocaine Lidocaine Prilocaine Dibucaine Nitrates/nitrites Amyl nitrite Isobutyl nitrite Sodium nitrite Ammonium nitrate Silver nitrate Sulfonamides Ref: Farmer B.M., Nelson L.S. (2011). Chapter 201. Dyshemoglobinemias. In J.E. Tintinalli, J.S. Stapczynski, D.M. Cline, O.J. Ma, R.K. Cydulka, G.D. Meckler (Eds), Tintinalli's Emergency Medicine: A Comprehensive Study Guide, 7e.